A 24 year old female working in a office thinks his boss is secretly in love with her. Even though he denies the facts, she feels he is hiding it from her. This disorder is suggestive of
1. Declerembault syndrome
2. Cotard syndrome
3. Othello syndrome
4. Capgrass syndrome

Correct answer: 1. Declerembault syndrome

Explanation: Declerembault syndrome also called as Erotomania is where a female usually of lower socioeconomic status believes that  a high profile male is secretly in love with her.

Cotard syndrome : Delusion of Nihilism.
Othello syndrome : Delusion of Infidelity.
Capgrass syndrome : Delusion of Doubles.